In a 60Kg man with 40% burns what is the amount of ringer lactate given in first 8 hours
1. 9600 ml
2. 6400 ml
3. 4800 ml
4. 3200 ml

Correct answer: 3. 4800 ml

Explanation: Parkland formula calculates the fluid to be replaced in the first 24 hours by the following formulatotal percentage body surface area x weight (kg) x 4 = volume (mL). Half this volume is given in the first 8 hours and the second half is given in the subsequent 16 hours.So 40*60*4 = 9600 half of that in first 8 hrs ie; 4800 ml.Fluid in parkland formula is Ringer lactateBailey and Love 26th edition pg: 392